Which of the following is not of prognostic significance to choroidal melanoma ?
1. Presence of retinal detachment
2. Size of the tumour
3. Cytology of the tumor cells
4. Presence of extraocular extension

Correct answer: 1. Presence of retinal detachment

Explanation: Prognosis of choroidal melanoma depends upon :-

Cell type
Size of tumor
Location of tumor
Evidence of invasion (extrascleral or vortex vein)
Age of the patient
Cytology
Chromosomal abnormalities.